Psammoma bodies are seen in following except-
1. Serous cystadenoma of ovary
2. Mucinous cystadenoma of ovary
3. Meningioma
4. Papillary carcinoma of thyroid

Correct answer: 2. Mucinous cystadenoma of ovary

Explanation: Psammoma bodies are concentrically arranged calcified structures,seen in papillary carcinoma of thyroid ,serous cystadenoma of ovary and meningioma. It is not a feature of mucinous cystadenoma of ovary. (Ref:ROBBINS Textbook of pathology)